Hyphaema i.e. blood in the anterior chamber is suggestive of
1. Intraocular trauma
2. Posterior uveitis
3. Capillary hemangioma of the lid
4. High grade myopia

Correct answer: 1. Intraocular trauma

Explanation: Answer- A. Intraocular traumaEtiologyof hnhaemaThe most common causes of hyphema are intraocular surgery, blunt trauma, and lacerating trauma.Hyphemas may also occur spontaneously, without any inciting trauma